Drug of choice for classical angina attack ?
1. CCBs
2. b-blocker
3. GTN
4. Prazocin

Correct answer: 3. GTN

Explanation: Ans. is 'c' i.e., GTN For immediate pre-exeional prophylaxis and acute attack Sublingual glyceral trinitrate (Drug of choice)